Horner's syndrome causes all, except:
1. Enophalmos
2. Mydriasis
3. Anhidrosis
4. Narrowed palpebral fissure

Correct answer: 2. Mydriasis

Explanation: Mydriasis